Bleeding due to platelet defect is characterized by all except:
1. Bleeding occurs immediately after trauma
2. Commonly presents with haemarthrosis& haematoma
3. Local measures are effective in controlling disease
4. Bleeding is usually superficial

Correct answer: 2. Commonly presents with haemarthrosis& haematoma

Explanation: Ans b (Commonly presents with Hemarthrosis& hematoma )Ref: Harrison, 18th ed. pg. 460* Haemarthroses and spontaneous muscle haematomas are characteristic factor VIII or IX deficiency (moderate to severe).* They are also seen in deficiencies of fibrinogen, prothrombin and factors V, VII, X. It rarely occurs in bleeding disorders (exception is VWD)* Mucosal bleeding as well as superficial bleeding occurs in underlying platelet disorder or VWD. (disorders of primary haemostasis)More points:* Posttraumatic bleeding + joint hyperextensibility oEhler-Danlos syndrome* Epistaxis is the most common symptom in HHT (hereditary hemorrhagic telengectasia) and boys with VWD.* Bleeding with eruption of primary teeth is a common symptom in children with moderate to severe haemophilia.* VWD type 2 &3 are associated with angiodysplasia of bowel & GI bleeding.* In joint bleeds pain, swelling & loss of function are usual but discoloration from bruising around the joint is rarely a symptom.